Surveillance is:
1. Scrutiny of factors
2. Treatment of contacts
3. Both
4. None of the abov

Correct answer: 1. Scrutiny of factors

Explanation: Scrutiny of factors